Maximum hypoglycemia is caused by which oral hypoglycomic -
1. Metformin
2. Sulfonylureas
3. Miglital
4. Pioglitazone

Correct answer: 2. Sulfonylureas

Explanation: Ans. is 'b' i.e., Sulfonylureas o Oral hypoglycemic drugs may be divided into two groups.1. Group 1# These drugs reduce plasma glucose by stimulating insulin production, therefore called insulin secretogogues.# Hypoglycemia is a well known side effect.# Examples are:i) Sulfonylureas: first generation (chlorpropamide, tobutamide); second generation (Glimipiride, glyburide, glipizide, gliclazide).ii) Megalitinnide/D-phenylalanine analogues: Nateglinide, Rapaglinide.2. Group 2# These drugs reduce blood glucose without stimulating insulin production, therefore are insulin nonsecretogogues.# These durgs do not cuase hypoglycemia when used alone and can cause hypoglycemia, only when used with other oral hypoglycemics.# Examples are:i) Biguanides: Metformin, Phenforminii) Thiazolidinediones: Rosiglitazone, Pioglitazone, Troglitazone.iii) a-glucosidase inhibitors: Acarbose, miglital.